Which of the following wires are also called shape memory wires:
1. Stainless steel round wire
2. Multiflex round wire
3. Nickel titanium wires
4. Stainless steel edgewise wire

Correct answer: 3. Nickel titanium wires